Most common presentation of Retinoblastoma
1. Strabismus
2. Leucocoria
3. Decreased vision
4. Yellowish-white retinal mass.

Correct answer: 2. Leucocoria

Explanation: Leucocoria (60%)
Strabismus (22%)
Decreased vision (5%).